External otitis is also known as:
1. Glue ear
2. Malignant otitis externa
3. Telephonists ear
4. ASOM

Correct answer: 3. Telephonists ear

Explanation: Humidity and hot climate are one of the predisposing factors for otitis externa. Hence - otitis externa is also k/a Singapore ear (where climate is hot & humid) or Telephonist ear as talking on phone causes humidity around ear) or Swimmers ear. Pseudomonas aeruginosa is a normal inhibitant of external ear. Its numbers are kept in balance by the normal acidity of EAC. Prolonged swimming or abusive use of cotton typed ear buds can alter the pH, producing a more basic environment in which pseudomonas grows rapidly.